All of the following cause hemolytic uremic syndrome except -
1. Shigella
2. Campylobacter
3. EHEC
4. Vibrio cholera

Correct answer: 4. Vibrio cholera

Explanation: Hemolytic uremic syndrome is caused by -

Enterohemorrhagic E.coli (EHEC) → M. C.


Shigella dysenteriae type 1
Campylobacter


Salmonella
Drugs → Cyclosporine, Clopidogrel and Quinine